Which of the following carcinoma most frequently metastasizes to brain -
1. Small cell carcinoma lung
2. Prostate cancer
3. Rectal carcinoma
4. Endometrial cancer

Correct answer: 1. Small cell carcinoma lung

Explanation: Ans. is 'a' i.e., Small cell carcinoma of lung Frequency of Nervous system metastasis by common primary tumour. Site of primary tumourBrain %MetastasesLeptomeningeal % MetastasisSpinal cord % CompressionLung402418Breast194124Melanoma10124Gastrointestinal tract7136Genitourinary tract7-18Others171030